Amyloid deposits stain positively with all of the following except:
1. Congo-red
2. Methenamine silver
3. Crystal violet
4. Thioflavin T

Correct answer: 2. Methenamine silver

Explanation: Staining Characteristics of Amyloid